Linnitis plastica is commonly seen in:
1. Carcinomas Stomach
2. Sarcoidosis
3. Lymphoma
4. Leiomyosarcoma

Correct answer: 1. Carcinomas Stomach

Explanation: Linnitis plastica in carcinoma stomach leads to diffuse mural involvement by tumour and leads to decrease distensibility of stomach and complaints of early satiety.